Treatment of choice for fracture neck of humerus in a 70 year old male:
1. Analgesic with arm sling
2. U-slab
3. Arthroplasty
4. Open reduction - Internal fixation

Correct answer: 1. Analgesic with arm sling

Explanation: A i.e. Analgesic with arm sling